Most common cause of bleeding in children-
1. Nose picking
2. Hypertension
3. Tumor
4. None

Correct answer: 1. Nose picking

Explanation: Ans. is 'a' i.e., Nose picking o Epistaxis is relatively common in children.o The most common cause of epistaxis is the mucosal maceration caused by upper respiratory infection and nose picking (trauma).o The usual site of bleeding is the anterior nasal septum, i.e., Kiesselbach ^ area (little's area)."Most common cause of epistaxis in chidren is nose picking in the little s area " -- Pediatric emergency."Habitual nose picking is an extremely common reason for anterior septal nose bleeds " -- Essential otolaryngology "The most common cause of epistaxis in the pediatric population in digital trauma" -- pediatric otolaryngology\